1st evidence of calcification of Upper canine is seen in
1. 4-5 months
2. 1 year
3. 2-3 months
4. 15 wk IU

Correct answer: 1. 4-5 months